Sarcoma Botyroides is mostly seen in -
1. Neonates
2. Children under 2 years
3. Adults
4. Post menopausal

Correct answer: 2. Children under 2 years

Explanation: Ans. is 'b' i.e., Children under 2 yearsSarcoma botryoides (Embryonal rhabdomyosarcoma) 0 Sarcoma botryoides is an uncommon vaginal tumor most frequently found in infants and in children younger than 5 years of age.o The tumor consists predominantly of malignant embryonal rhabdomyoblasts.o The tumor have the appearance and consistency of grape like clusters.